Which one of the following types of intestinal lipomas lead to intussuscepions?
1. Submucous
2. Subserous
3. Intramuscular
4. None

Correct answer: 1. Submucous

Explanation: .Aetiology of intussuception * Idiopathic ISS is common in children, occurs in terminal 50 cm of ileum. * During weaning, change in diet causes inflammation and oedema of Peyer's patches--may stimulate ISS. * Upper respiratory tract viral infection which causes oedema of Peyer's patches is also thought as an aetiology for intussusception in children. * Other causes in adolescents and adults are submucus lipoma, leiomyoma, polyps in jejunum (Peutz-Jegher syndrome), other polyps and carcinomas with papillary projections. ref:SRB's manual of surgery ,ed 3,pg no 863